Which one of the following ends in the posteromedial ventral nucleus of Thalamus?
1. Medial lemniscus
2. Lateral lemniscus
3. Trigeminal lemniscus
4. STT

Correct answer: 3. Trigeminal lemniscus

Explanation: The afferents to posteromedial ventral nucleus are trigeminal lemniscus and solitariothalamic tract.Medial lemniscus ends in posterolateral ventral nucleus along with spinal lemniscus( STT)(Ref: Vishram Singh textbook of clinical neuroanatomy second edition pg 130)